Which muscle of larynx is not supplied by recurrent laryngeal nerve ?
1. Vocalis
2. Thyroarytenoid
3. Cricothyroid
4. Interarytenoid

Correct answer: 3. Cricothyroid

Explanation: Ans. is 'c' i.e., Cricothyroid All intrinsic muscles are supplied by the reccurrent laryngeal nerve except cricothyroid which is supplied by the external laryngeal nerve